The longest acting local anesthetics -
1. Bupivacaine
2. Ropivacaine
3. Dibucaine
4. Tetracaine

Correct answer: 3. Dibucaine

Explanation: long acting ester local anesthetic -Benzocaine . tetracaine long acting amide local anesthetic- bupivacaine, ropivacaine , levobupivacaine , dibucaine overall longest acting local anesthetic- Dibucaine- Tetracaine- Bupivacaine